The most impo rtant indication for surgical repair of a bicornuate uterus is:
1. Infertility
2. Dysmenorrhoea
3. Menorrhagia
4. Habitual abortion

Correct answer: 4. Habitual abortion